Bone infarcts are seen in:
1. Iron deficiency anemia
2. Thalassemia
3. Sickle cell anemia
4. Hereditary spherocytosis

Correct answer: 3. Sickle cell anemia

Explanation: - Sickled cells can cause microvascular occlusion affecting Bones - Hand foot syndrome; Avascular necrosis of femur; H-shaped/ cod-fish/ fish mouth vertebra. Brain - coma/ altered consciousness/ stroke, Skin - chronic, non-healing ulcer Spleen - autosplenectomy Pulmonary circulation - Acute chest syndrome